Quinsy is-
1. Peritonsillar abscess
2. Parapharyngeal abscess
3. Hypopharyngeal abscess
4. Acute epiglottitis

Correct answer: 1. Peritonsillar abscess

Explanation: Ans. is 'a' i.e., Peritonsillar abscess o Quinsy consists of suppuration outside the capsule in the area around the capsule. There is collection of pus between the capsule of tonsil and the superior constrictor muscle, i.e. in the peritonsillar area. Peritonsillar abscess is a complication of tonsillitis and is most commonly caused by group A beta - hemolytic streptococcus.